Maffucci syndrome:
1. Multiple enchondromatosis with hemangiomas
2. Multiple osteochondromatosis with hemangiomas
3. Multiple osteochondromas
4. Multiple Giant cell tumor

Correct answer: 1. Multiple enchondromatosis with hemangiomas

Explanation: Maffucci syndrome: 100% risk of malignant transformation Multiple enchondroma Hemangioma Phleboliths